Blunt trauma to the abdomen most commonly injures which of the following organs?
1. Liver
2. Kidney
3. Spleen
4. Intestine

Correct answer: 3. Spleen

Explanation: .SPLENIC INJURY-it can be subcapsular haematoma,laceration or hilar injury. it can be associated with other organ injuries like left kidney, left lobe of the liver, splenic flexure of the colon or pancreas. it can cause torrential haemorrhage and shock. it is the most common organ injuried in blunt injury abdomen (Ref: SRB's Manual of Surgery, 5th edition, pg no.149)